The "rotator cuff" muscle includes all except
1. Supraspinatus
2. Infraspinatus
3. Teres major
4. Subscapularis

Correct answer: 3. Teres major

Explanation: The musculotendinous cuff of the shoulder is a fibrous sheath formed by the four flattened tendons which blend with the capsule of the shoulder joint and strengthen it. The muscles which form the cuff arise from the scapula and are inserted into the lesser and greater tubercles of the humerus. They are:subscapularis, the supraspinatus, the infraspinatus and the teres minor,subscapularis The cuff gives strength to the capsule of the shoulder joint all around except interiorly. This explains why dislocations of the humerus occur most commonly in a downward direction. Mnemonic"SITS" Ref: BD Chaurasia 7th edition; Page no: 73